Which one of the following is not a part of the Revised Trauma score?
1. Glasgow coma scale
2. Systolic blood pressure
3. Pulse rate
4. Respiratory rate

Correct answer: 3. Pulse rate

Explanation: - Revised trauma score (RTS) - Mnemonic- GB Road G-GCS - B-Bp (systolic) - Road -Respiratory rate - Trauma scoring systems Revised trauma score (RTS) Trauma & injury severity score (TRISS) Mangled Extremity severity score (MESS) Mnemonic- GB Road G-GCS B-Bp (systolic) Road -Respiratory rate Mnemonic- ISS + RAM ISS- Injury severity score R- Revised trauma score A-Age M-Mechanism(blunt/penetrating) Mnemonic-ELISA E- Energy Li-Limb Ischemia S-Shock A-AGE